True about lunate dislocation?
1. Lunate dislocates anteriorly, while other carpal bones remains in place.
2. Lunate stays in place while other carpal bones dislocate posteriorly.
3. Most common to be involved is ulnar nerve
4. None

Correct answer: 1. Lunate dislocates anteriorly, while other carpal bones remains in place.

Explanation: Ans. A. Lunate dislocates anteriorly, while other carpal bones remain in place.Wrist dislocationsTypes* Lunate dislocation - lunate dislocates anteriorly, while other carpal bones remains in place.* Perilunate dislocation - lunate stays in place while other carpal bones dislocate posteriorly.Perilunate dislocation is the more common type, & when it is associated with fracture scaphoid, it is known as trans scaphoid perilunate fracture dislocation. Median nerve is the M/C nerve injury in lunate/perilunate dislocation.